Terminal branches of facial nerve are all, EXCEPT:
1. Mandibular nerve
2. Marginal branch
3. Temporal
4. Cervical

Correct answer: 1. Mandibular nerve

Explanation: The facial nerve crosses lateral to the styloid process and penetrates the parotid gland. In the parotid gland, the nerve divides at the pes anserinus into 2 major divisions; ie, the superiorly directed temporal-facial and the inferiorly directed cervicofacial branches. After the main point of division, 5 major branches of the facial nerve exist, as follows:Temporal (ie, frontal)ZygomaticBuccalMarginalCervical